A patient on aspirin, will show the following finding?
1. Prolonged BT
2. Prolonged PT
3. Prolonged APTT
4. Prolonged CT

Correct answer: 1. Prolonged BT